The 'decisive period' in preventing wound infections is
1. 4 hr post incision
2. 12 hr prior to incision
3. 12 hr post incision
4. 48 hr post incision

Correct answer: 1. 4 hr post incision

Explanation: There is up to a 4-hour interval before bacterial growth becomes established enough to cause an infection after a breach in the tissues, whether caused by trauma or surgery. This interval is called the 'decisive period' and strategies aimed at preventing infection from taking a hold become ineffective after this time period.It is therefore logical that prophylactic antibiotics should be given to cover this periodRef: Bailey and Love 27e pg: 46